Biot breathing is seen in -
1. Flail chest
2. Uremia
3. High altitude
4. Lesion in the brain

Correct answer: 4. Lesion in the brain

Explanation: Answer- D. Lesion in the brainBiot's breathingCharacterized by irregularly irregular breathing with sudden apnea.Seen in CNS lesions.Indicates increased intracranial Pressure.